Infection of CNS spreads to the inner ear through
1. Cochlear aqueduct
2. Endolymphatic sac
3. Vestibular aqueduct
4. Hyrtl's fissure

Correct answer: 1. Cochlear aqueduct

Explanation: The scale tympani is closed by a secondary tympanic membrane. It is also connected with subarachnoid space through aqueduct of the cochlea